The active principles of Dhatura are all of the following except :
1. Pyricatachol
2. Hyoscyamine
3. Atropine
4. Hyoscine

Correct answer: 1. Pyricatachol

Explanation: A i.e. Pyricatachol